A child with nephrotic syndrome following an episode of diarrhoea presented with acute kidney injury with a creatinine of 4.5 . All of the following are possible reasons except?
1. Renal vein thrombosis
2. Diarroea water deplection
3. Frusemide
4. Steroid induced diabetes

Correct answer: 4. Steroid induced diabetes

Explanation: Corticosteroids are used to reduce harmful inflammation but can lead to diabetes - often referred to as steroid diabetes. People on steroids who are already at a higher risk of type 2 diabetes or those who need to take steroids for longer periods of time are the most susceptible to developing steroid induced diabetes. Reference: GHAI Essential pediatrics, 8th edition